Fructokinase is necessary for production of
1. Fructose-1-PO4
2. Fructose 1, 6 diphosphate
3. Fructose 6 phosphate
4. Glyceraldehyde

Correct answer: 1. Fructose-1-PO4

Explanation: Fructose-1-PO4 

Fructokinase is necessary for the production of fructose- 1 -phosphate from fructose.